ETDRS vision chart study is done in patients with diabetic retinopathy. ETDRS stands for –
1. Extended therapy for diabetic retinopathy & its sutdy
2. Emergency treatment for diabetic retinopathy and study
3. Eye testing or rotatory drum & its study
4. Early treatment for diabetic retinopathy study

Correct answer: 4. Early treatment for diabetic retinopathy study

Explanation: Early treatment diabetic retinopathy study (ETDRS) was a multicenter, randomized clinical trial involving 3711 participants designed to evaluate the effectiveness of both organ laser photocoagulation and aspirin therapy in the management of patients with non-proliferative diabetic retinopathy and early proliferative diabetic retinopathy.
In addition, it was designed to determine the best time to initiate photocoagulation treatment in diabetic retinopathy.